Charas is :
1. Leaves of Cannabis Indica
2. Flowers of Cannabis Indica
3. Stem of Cannabis Indica
4. Resin exudate of Cannabis Indica

Correct answer: 4. Resin exudate of Cannabis Indica

Explanation: D i.e. Resin exudates of cannabis Indica